Erythema infectiosum (fifth disease), a self-limited disease of children, is caused by
1. Measles
2. Parvovirus
3. Rubella
4. Human herpesvirus type 6

Correct answer: 2. Parvovirus

Explanation: Parvovirus B19 causes the common disease erythema infectiosum, characterized by a "slapped cheek" rash. Called fifth disease, it is the fifth childhood rash disease; the other four are measles, rubella, scarlet fever, and roseola.